A 16-year-old boy is admitted with fever, icterus, conjunctival suffusion and hematuria for 15 days. Which serological test should be done for diagnosis?
1. Weil-Felix reaction
2. Widal test
3. Paul Bunnel test
4. Microscopic agglutination test

Correct answer: 4. Microscopic agglutination test

Explanation: Microscopic agglutination test is used for diagnosis of Leptospirosis. History of fever with liver(icterus) and kidney(hematuria) involvement should arouse suspicion for leptospirosis (Weil's disease). Serotype-specific tests: Microscopic agglutination test Macroscopic agglutination test WIDAL test is used to screen for typhoid fever Weil Felix reaction is used to diagnose rickettsial fevers Paul Bunnell test is the investigation of choice for infectious mononucleosis. Reference: Ananthanarayan and Paniker's Textbook of Microbiology Tenth edition